All of the following are therapeutic uses of Penicillin G, except:
1. Bacterial meningitis
2. Rickettsial infection
3. Syphilis
4. Anthrax

Correct answer: 2. Rickettsial infection